Drug resistance in Mycobacterium tuberculosis is due to :
1. Conjugation
2. Transduction
3. Mutation
4. None of the above

Correct answer: 3. Mutation